Blow out fracture of the floor of the orbit. True is-
1. Waters view is recommended
2. Proptosis is seen
3. Epistaxis is never seen
4. Double density sign is seen

Correct answer: 1. Waters view is recommended

Explanation: *Water's view is best. There is enophthalmos (not proptosis). Ipsilateral epistaxis is present. There is tear drop sign. Ref: Khurana 7th/e p.440